Which of  the following is not the Boundary of triangle of safety
1. Anterior axial fold
2. Posterior axial fold
3. 5th intercoastal space
4. None of the above

Correct answer: 4. None of the above